On 4 Gy dose on the scalp, alopecia develops within:
1. 3-4 wk
2. 6-8 wk
3. 10-12 wk
4. 14-16 wk

Correct answer: 1. 3-4 wk